Which of the following drugs should not be administered concomitantly with warfarin as it decreases the effect of oral anticoagulants ?
1. Broad spectrum antibiotic
2. Cimetidine
3. Aspirin
4. Oral contraceptive

Correct answer: 4. Oral contraceptive